Which nerves does not arise form the medulla:
1. Facial
2. Glossopharyngeal
3. Vagus
4. Dorsal horn of gray matter

Correct answer: 1. Facial

Explanation: A i.e. FacialThe 3rd & 4th cranial nerves belong to midbrain; 5deg', 6th, 7th,& part of 8th to mid brain and remaining (8th, 9th, 10th, 11th, 12th,) to medulla oblongeta.